This child presented with intellectual disability and ejection systolic murmur in the pulmonary area. He also had cubitus valgus & webbed neck. Differences from Turner syndrome are all of the following except:
1. Karyotype normal
2. Fertile but delayed puberty
3. May be seen in males or females
4. Short stature seen in only this disorder

Correct answer: 4. Short stature seen in only this disorder

Explanation: Noonan syndrome: Autosomal dominant, Normal karyotype MC gene involved is PTPN 11 - C/F : Short stature webbed neck Antimongoloid slant eyes (Opposite of Down syndrome) Cubitus valgus Intellectual disability - Similarities and differences between Noonan syndrome and Turner syndrome